Body after postmortem is handed over to:
1. Police constable
2. Relatives
3. Preserved in mortuary
4. Magistrate

Correct answer: 1. Police constable

Explanation: Ans. Police constable